Intracranial calcification in skull X- ray may be:
1. Pineal calcification
2. Duralcalfication
3. Cysticercosis
4. All of these

Correct answer: 4. All of these

Explanation: d) all of these ref: Chapman 4th/e p.428-429